Rheumatoid arthritis is seen with?
1. HLADR3
2. HLA DR4
3. HLA DR 27
4. HLA B 27

Correct answer: 2. HLA DR4

Explanation: Ans. (b) HLADR4Ref: Harrison 19th ed. / 372e-lHLA alleleDiseases with increased riskHLA-B27Ankylosing spondylitisPost-gonococcal arthritisAcute anterior uveitisHLA-B4721-hydroxylase deficiencyHLA-DR2Systemic lupus erythematosusHLA-DR3Autoimmune hepatitisPrimary Sjogren syndromeDiabetes mellitus type 1Systemic lupus erythematosusHLA-DR4Rheumatoid arthritisDiabetes mellitus type 1HLA-DR3 and - DR4 combinedDiabetes mellitus type 1HLA-DQ2 and HLA-DQBCeliac disease